Which part of kidney is first affected in ischemia due to acute kidney injury?
1. Glumerulus
2. Cortex
3. Inner medulla
4. Outer medulla

Correct answer: 4. Outer medulla

Explanation: Ans. is 'd' i.e., Outer medulla * "Healthy kidneys receive 20% of the cardiac output and account for 10% of resting oxygen consumption, despite constituting only 0.5% of the human body mass. The kidneys are also the site of one of the most hypoxic regions in the body, the renal medulla. The outer medulla is particularly vulnerable to ischemic damage because of the architecture of the blood vessels that supply oxygen and nutrients to the tubules. Enhanced leukocyte-endothelial interactions in the small vessels lead to inflammation and reduced local blood flow to the metabolically very active S3 segment of the proximal tubule, which depends on oxidative metabolism for survival. " - Harrison 18th/e